A 3-year old female child sleeping in a thatched hut woke up in the middle ofthe night screaming. Her mother thought the child had a nightmare and tried to pacify her. After sometime she noticed that the child was sweating profusely and the hands were becoming cold. chUd also vomited a couple oftimes. The mother immediately rushed the child to the emergency services. His pulse was 150/mlnute and his BP 90/60 ram Hg. This child is likely to have -
1. Snakebite
2. Septic shock
3. Food poisoning
4. Scorpion envenomation

Correct answer: 4. Scorpion envenomation

Explanation: Scorpion stings cause a wide range of conditions, from severe local skin reactions to neurologic, respiratory, and cardiovascular collapse. Envenomation from most scorpions results in a simple, painful, local reaction that can be treated with analgesics, antihistamines, and symptomatic/supportive care. Ref Davidson 23rd edition pg 300